Penicillinase resistant penicillin is:
1. Methicillin
2. Ampicillin
3. Carbenecillin
4. Ticarcillin

Correct answer: 1. Methicillin